All is true about Retts syndrome except
1. X linked dominant
2. Child has loss of hand functions
3. Male fetuses with retts gene are not compatible and are aborted
4. Regression happens in 3rd decade

Correct answer: 4. Regression happens in 3rd decade

Explanation: Read retts syndrome in detail potential for lots of questions